Which of the following disorders mimic each other
1. Iron deficiency anemia and sickle cell anemia
2. Sickle cell anemia and Thalassemia
3. Thalassemia and Iron deficiency anemia
4. Iron deficiency anemia and vitamin B12 deficiency anemia.

Correct answer: 3. Thalassemia and Iron deficiency anemia

Explanation: Both present with microcytic hypochromic anemia.
Mentzer index is used to diffeentiate between the two. It is less than 13 in Thalassemia. (MCV / RBC Count).